Which generation of flowable composites can be used as restorative material?
1. 1st generation
2. 2nd generation
3. Both
4. None

Correct answer: 2. 2nd generation

Explanation: Flowable composite
Low filler content, lower viscosity
1st generation:

Inferior mechanical properties
Only used as P&F sealant 
1st layer of composite on tooth surface

2nd generation:

Better mechanical properties
Can be used as restorative material
Entire restoration